Finger Print Bureau was first established in
1. England
2. China
3. India
4. Singapore

Correct answer: 3. India

Explanation: On 12 June 1897, the Council of the Governor General of India approved a committee report that fingerprints should be used for the classification of criminal records. Later that year, the Calcutta (now Kolkata) Anthropometric Bureau became the world's first Fingerprint Bureau where Haque & Bose were credited with development of Henry's system of classification of fingerprints. Ref - Internet